Anatomic cross bite in contrast to functional cross bite usually demonstrates:
1. Smooth closure to centric occlusion
2. Deviated closure to centric occlusion
3. Marked wear facets
4. Symmetrical arches

Correct answer: 1. Smooth closure to centric occlusion